A patient with blunt abdominal trauma presented to casualty with BP 90/60 mm Hg & pulse rate 124. The investigation to be done in this patient Is?
1. CT abdomen
2. MR1 abdomen
3. DPL
4. FAST

Correct answer: 4. FAST

Explanation: ANSWER: (D) FASTREF: Bailey and love 25th edition page 143-144As the above mentioned patient is in shock with history of blunt abdomen trauma, the first investigation to be done should be FAST."Ultrasound has an evolving role in the assessment of acutely traumatised patients. The main current roles of ultrasound include the assessment of intraperitoneal fluid and haemopericardium (focused assessment with sonography for trauma, FAST), the evaluation of pneumothoraces in supine patients and in guiding intervention"FAST ultrasound is a limited examination directed to look for intraperitoneal fluid or pericardial injury as a marker of underlying injury. This avoids the invasiveness of diagnostic peritoneal lavage. In the presence of free intraperitoneal fluid and an unstable patient, the ultrasound allows the trauma surgeon to explore the abdomen as a cause of blood loss. In the presence of fluid and a haemodynamically stable individual, further assessment by way of CT can be performed. Occasionally, a second ultrasound scan may show free fluid in the presence of an initially negative FAST scan.